ANCA is found in all of the following Except:
1. A. Wegner's granulomatosis
2. Churg-Strauss disease
3. Microscopic polyangitis
4. Takayasu arteritis

Correct answer: 4. Takayasu arteritis

Explanation: Answer is D (Takayasu Arteritis): Takayasu Arteritis is not associated with ANCA Note: If p-ANCA is not against Myeloperoxidase (or CANCA is not against Proteinase-3), look for causes other than Vasculitis for the positive ANCA.